Half life of T4 is
1. 20 minutes
2. 12 hours
3. 1 day
4. 6 days

Correct answer: 4. 6 days

Explanation: Ans: D. 6 days(Ref: Ganong 25th/e p. 338-341; Understandings of medical physiology p. 7l9)Half life of T3 = 1 dayHalf life of T4 = 6 days.